All of the following statements are true regarding reversible cell injury, except
1. Formation of amorphous densities in the mitochondrial matrix
2. Diminished generation of adenosine triphosphate (ATP).
3. Formation of blebs in the plasma membrane.
4. Detachment of ribosomes from the granular endoplasmic reticulum.

Correct answer: 1. Formation of amorphous densities in the mitochondrial matrix